A 9-year-old child with high arched palate has shoulders meeting in front of his chest. He has:
1. Erb's palsy
2. Cleidocranial dysostosis
3. Chondro-osteodystrophy
4. Cortical hyperostosis

Correct answer: 2. Cleidocranial dysostosis

Explanation: CLEIDOCRANIAL DYSOSTOSIS-AD Clinical and Radiological Features: Skull Involvement- Elfin faces- skull is wider but the face appears small and flat looking (hypoplastic bones) Eyes are wide set Deciduous teeth erupt normally,permanent teeth are delayed and maldeveloped. Clavicles maybe underdeveloped or absent. M/C defect is loss of lateral 1/3rd > loss of middle third of clavicle Bilateral clavicle hypoplasia, child can touch the shoulders together in front of the chest. Limbs- Coxa vara is seen, 2nd metacarpal is usually long